Blue Sclera is associated with:
1. Osteogenesis imperfecta
2. Marfan's syndrome
3. Alkaptonuria
4. All of the above

Correct answer: 4. All of the above

Explanation: Ans. D: All of the above Causes of blue Sclera: Pseudoxanthoma elasticum Osteogenesis imperfecta Ehlers-Danlos syndrome Marf an's syndrome Alkaptonuria Hypophosphatasia Juvenile paget's disease Normal in newborns Van der Hoeve's syndrome